The most poisonous Mercury salt is:
1. Chloride
2. Oxide
3. Cyanide
4. Chromate

Correct answer: 1. Chloride

Explanation: A i.e. Chloride